Transitional cell carcinoma of bladder is associated with-a) Schistosomiasisb) Naphthylaminec)  Smokingd)  TB bladder
1. ab
2. abc
3. acd
4. bcd

Correct answer: 2. abc